The criteria for 'at risk' infant include the following except -
1. Artificial feeding
2. Grade II malnutrition
3. Working mother
4. Birth order 4 and more

Correct answer: 4. Birth order 4 and more

Explanation: Criteria for identification of at risk infants. 1.birth.wt. Less than 2.5 kg 2.twins 3.birth order 5 or more 4.weight below 70 % of expected - II and III degres of malnutrition 5.artificial feeding 6. Failaure to gain wt during 3 succesive months 7.children with PEM and diarrhoea 8.working mother/one parent Parks textbook of preventive and social medicine.K Park. Edition 23.Pg no: 535